In brown-sequard syndrome sensation, that is lost at the same side of lesion is -
1. Pain
2. Touch
3. Temperature
4. Proprioception

Correct answer: 4. Proprioception

Explanation: Source: Ganong-142 Brown-Sequard syndrome, also known as Brown-Sequard's hemiplegia and Brown-Sequard's paralysis, is a loss of sensation and motor function (paralysis and ataxia) that is caused by the lateral hemisection (cutting) of the spinal cord. Other synonyms are crossed hemiplegia, hemiparaplegic syndrome, hemiplegia et hemiparaplegia spinalis and spinal hemiparaplegia. On the ipsilateral (same side) of the spinal injury Brown-Sequard syndrome is characterized by loss of motor function (i.e. hemiparaplegia), loss of vibration sense and fine touch, loss of proprioception (position sense), loss of two-point discrimination, signs of weakness This is a result of a lesion through the corticospinal tract, which carries motor fibers, and through the dorsal column-medial lemniscus tract, which carries fine (or light) touch fibers. On the contralateral (opposite side) of the lesion, there will be a loss of pain and temperature sensation, and crude touch